The following is true about the term New families
1. It is a variant of the 3 - generation family
2. It is applied to all nuclear families of less than 10 years duration
3. It is a variant of joint family
4. It is applied to all nuclear families of less than 2 years duration

Correct answer: 2. It is applied to all nuclear families of less than 10 years duration

Explanation: Te term new families has come recently into vogue ,it is applied to those under 10 years duration and consists of parents and children. Ref:(p.740) 25 th edition Park's Textbook of Preventive and Social Medicine